McNaughten rule is concerned with:
1. Civil responsibility in drunken person
2. Criminal responsibility in insane person
3. Professional misconduct by doctors
4. Capacity of a person to make a valid will

Correct answer: 2. Criminal responsibility in insane person

Explanation: Ans. Criminal responsibility in insane person